As per the recent guidelines of Resuscitation what to be done if asystole is not responding to two consecutive doses of epinephrine:-
1. Vasopressin is the second line drug
2. Defibrillation with 200J
3. Another dose of epinephrine
4. Atropine should be given

Correct answer: 3. Another dose of epinephrine

Explanation: Most common electrical mechanism for cardiac arrest isasystole,as recorded at initial contact in45-50% of cases.Previously VF was thought to be the common mechanism, but its its incidence has now been decreasing.